The coronoid process:
1. Limits the extension of maxillary posterior teeth setting
2. Limits the thickness of the distobuccal flange of the upper complete denture
3. Limits the thickness of the distobuccal flange of the lower complete denture
4. Determines PPS

Correct answer: 2. Limits the thickness of the distobuccal flange of the upper complete denture